Tolerance develops to all of the following actions of opioid except:
1. Miosis
2. Analgesia
3. Euphoria
4. Nausea and vomiting

Correct answer: 1. Miosis

Explanation: Ref: Katzung 11/e p539 Tolerance cannot develop to 3Cs *Constipation *Constriction of pupil *Convulsions